Which of the following statements about vigabatrin is TRUE?
1. Blocks neuronal reuptake of GABA
2. Drug of choice in absence seizures
3. Life threatening skin disorders may occur
4. Visual disturbances can occur

Correct answer: 4. Visual disturbances can occur

Explanation: (Ref: KDT 6/e p410) Vigabatrin act by inhibiting the enzyme GABA transaminase (involved in breakdown of CABA). It is used for the treatment of partial and generalized seizures. It is also used to treat infantile spasms. Visual disturbances are very important adverse effect of this agent.